Fibres which pass through genu of internal capsule are:
1. Corticonuclear fibres
2. Rubral fibers
3. Fibres of upper limb
4. Fibres of lower limb

Correct answer: 1. Corticonuclear fibres

Explanation: A. i.e. Coticonuclear fibers